Investigation of choice for neurosyphilis:
1. VDRL
2. FTA-ABS
3. RPR
4. TPI

Correct answer: 1. VDRL

Explanation: VDRL :- For congenital & Neurosyphilis FTA-ABS :- 1deg/2deg/ Latent Syphilis DOC for Neurosyphilis:- Pen. G IV for 2 weeks